The common first approach to test causal hypothesis is
1. Descriptive study
2. Case-control study
3. Cohort study
4. Randomized controlled trial

Correct answer: 2. Case-control study